CT of gastric Volvulus shows -
1. Shortened twisted stomach
2. Enlarged twisted stomach
3. Normal twisted stomach
4. None of the above

Correct answer: 2. Enlarged twisted stomach

Explanation: Gastric volvulus: In X-ray - coffee bean sign (located in epigastric area) CT of gastric volvulus shows enlarged twisted stomach 2 mechanisms of gastric volvulus occurrence: